All of the following segments of liver drains into right hepatic duct EXCEPT:
1. I
2. III
3. V
4. VIII

Correct answer: 2. III

Explanation: Segment III belongs to left liver and drains bile into left (not right) hepatic duct. Right liver has segment V, VI, VII and VIII which drain into right hepatic duct. Caudate lobe (segment I) drains into both right and left hepatic duct.